CD-99 is marker of :
1. Ewings sarcoma
2. SLL
3. Dermatofibrosarcoma
4. Malignant fibroma histiocytic tumor

Correct answer: 1. Ewings sarcoma

Explanation: CD-99 can be used as a tumor  marker for ewings sarcoma.